All the following Nemalodes resides in small intestine except
1. Ascaris lumbricoides
2. Hookwom
3. Strongyloides
4. Enterobius vermicularis

Correct answer: 4. Enterobius vermicularis

Explanation: Resides in large intestine

Trichuris trichura
Enterobius vermicularis.